Advanced bone age is seen in all except
1. Marfan's syndrome
2. Congenital adrenal hyperplasia
3. Precocious puberty
4. Obesity

Correct answer: 1. Marfan's syndrome